The only valid method to assess periodontal regeneration is
1. Radiographic analysis
2. Clinical attachment level
3. Reentry operation
4. Histologic analysis

Correct answer: 4. Histologic analysis

Explanation: Clear evidence of a new attachment apparatus can be determined only by histologic analysis of tissue blocks obtained from the healed area.